Secondary tympanic membrane is present over -
1. Round window
2. Oval window
3. Lateral wall of middle ear
4. Scala media

Correct answer: 1. Round window